Percentage of silver Nitrate used in Credes method
1. 1 percnt
2. 0.5Percnt
3. 1.5 percnt
4. 2 percnt

Correct answer: 1. 1 percnt

Explanation: Credes method is used to prevent gonococcal infection in a newborn Refer: Khurana 6th edition page number 64